Angiotensin II causes all except:
1. Stimulates release of ADH
2. Increases thirst
3. Vasodilation
4. Stimulates aldosterone release

Correct answer: 3. Vasodilation